Category A Bioterrorism agent -
1. Brucella
2. Malioidosis
3. Hanta virus
4. Ebola virus

Correct answer: 4. Ebola virus

Explanation: Ans. is 'd' i.e., Ebola virus * Bioterrorism agents can be separated into three categories, depending on how easily they can be spread and the severity of illness or death they cause. Category A agents are considered the highest risk and Category C agents are those that are considered emerging threats for disease.* Important organisms in different categories are1) Category A: Small pox, Anthrax, Botulism, Plague, tularemia, viral hemorrhagic fever (yellow fever, KFD, Ebola, Marburg, Lassa).2) Category B: Brucella, C. perfringens (epsilon toxin), Salmonella, Shigella, E. coli 157: H7, Staphylococcus (enterotoxin-B), V. cholerae, Q. fever. Typhus fever, psittacossis, glanders, Malioidosis.3) Category C: Emerging infections like Nipah, Hantavirus, SARS corona virus.